Chamfer finish line is given for metal crown. Crown is fitted accurately on die, but there is 0.3 mm gap is found intraorally. What will you do to maintain health of gingival tissue?
1. Reduce internal surface of occlusal side of crown to relieve pressure
2. Hand burnishing
3. Mechanical burnishing
4. Repeat the procedure by taking impression and fabrication.

Correct answer: 4. Repeat the procedure by taking impression and fabrication.